Antiandrogen is -
1. Mifepristone
2. Clomiphene citrate
3. Flutamide
4. Tamoxifen

Correct answer: 3. Flutamide

Explanation: Ans. is 'c' i.e., Flutamide